Regarding Ganser's Syndrome True is :
1. Repeated lying
2. Approximate answers
3. Unconscious episodes
4. Feighning illness

Correct answer: 2. Approximate answers

Explanation: Ans. is 'b' Approximate Answers Ganser's Syndrome also K/a Hysterical PseudodementiaCommonly found in prison inmatesCharacteristic feature is approximate answers. (Vorbeireden)These answers are wrong but shows that person understands the nature of Question.Example on showing red pen, patient calls it blue.